Austria with zero population growth rate is in which stage of demographic cycle?
1. First
2. Second
3. Third
4. Fourth

Correct answer: 4. Fourth

Explanation: Fourth stage (Low stationary): This stage is characterised by low birth and death rate with a result that the population becomes stationary as in Austria in 1980 to 1985. Ref: Park, 22nd edition pg: 441